The following statements are related to occipito posterior except
1. Malrotation of occiput may cause occipito sacral arrest
2. 10% cases are associated with anthrapoid or android pelvis
3. Incomplete forward rotation of occiput may cause deep transverse arrest
4. Non rotation of occiput may cause are associated

Correct answer: 2. 10% cases are associated with anthrapoid or android pelvis

Explanation: In more than 50% the occipito posterior position is associated with either anthrapoid or android pelvis